Best investigation for Zenker's diverticulum is:
1. Barium swallow
2. Endoscopy
3. CECT
4. EUS

Correct answer: 1. Barium swallow

Explanation: Ans. (a) Barium swallowRef: Sabiston 20th Edition, Page 1020-1022* IOC for Zenker's - Barium swallow* IOC for Achalasia - Manometry* IOC for Barret's - Endoscopic biopsy